Hanging results in which type of abrasions:
1. Scratch
2. Graze
3. Linear
4. Pressure

Correct answer: 4. Pressure

Explanation: Ans. D: Pressure